Insulin having longest duration of action is:
1. Isophane insulin
2. Protainine zinc insulin
3. Insulin zinc suspension
4. Plain insulin

Correct answer: 2. Protainine zinc insulin